Which of the following does not cause an increase in serum amylase?
1. Pancreatitis
2. Renal failure
3. Cardiac failure
4. Carcinoma lung

Correct answer: 3. Cardiac failure